Thyrotoxic periodic paralysis leads to extreme muscle weakness due to?
1. Hypokalemia
2. Hypocalcemia
3. Hypomagnesemia
4. Hyponatremia

Correct answer: 1. Hypokalemia

Explanation: T3| T4| - Positive Na- K+ ATPase activity in the cells (3 Na outside 2 K+ inside) | K Influx | K| | Thyrotoxic Periodic Paralysis